Battey bacillus is ?
1. Klebsiella pneumoniae
2. Mycobacteria paratuberculosis
3. Klebsiella ozaenae
4. Mycobacteria intracellulare

Correct answer: 4. Mycobacteria intracellulare

Explanation: Ans. is 'd' i.e., Mycobacteria intracellulare . intracellulare is commonly known as the Battey bacillus because it was first identified as human pathogen at the Battey state hospital for tuberculosis, Georgia. U.S.A.